A 3 year old girl has developed painful elbow after being jerked by the forearm. The next thing to be done is -
1. Cuff & collar sling immobilization
2. Reduction setting and AEPOP application
3. X-ray and elevation of limb in posterior slab
4. Fully supinate the forearm

Correct answer: 4. Fully supinate the forearm

Explanation: This is case of pulled elbow and a dramatic cure is achieved by forcefully supinating and then flexing the elbow.